The modified Mayo score used in clinical trials to assess the severity of:
1. Ulcerative colitis
2. Crohn's disease
3. Diverticulosis
4. Pancreatitis

Correct answer: 1. Ulcerative colitis

Explanation: Modifications of the original Truelove and Witts' criteria are used in daily practice, the modified Mayo score is used in current clinical trials. The mayo score uses: Stool frequency Rectal bleeding Mucosal appearance in endoscopy Physician's global assessment Ref: Journal of Crohn's and Colitis (2012) 6, 965-990